What is meant by "Suppositions child" -
1. Child born out of wedlock
2. Child fictitiously claimed by a woman
3. Second born of a twin pregnancy
4. Child is born after artificial insemination homologous

Correct answer: 2. Child fictitiously claimed by a woman

Explanation: Suppositious child : Child presented by the mother to have been delivered by her, though she has not delivered.